Which of the following statements is true about hapten?
1. It induces brisk immune response
2. It needs carrier to induce immune response
3. It is a T-independent antigen
4. It has no association with MHC

Correct answer: 2. It needs carrier to induce immune response

Explanation: Ans. is 'b' i.e., It needs carrier to induce immune response(Ref: Ananthanarayan, 9th/e, p. 87 and 8th/e, p. 91)* Haptens are small molecules that elicit an immune response only when attached to a large carrier such as a protein: the carrier may be one that also does not elicit an immune response by itself. (In general, only large molecules, infectious agents, or insoluble foreign matter can elicit an immune response in the body).